10 days old baby develops swelling left in posterior cervical area, bluish in appearance, increase in size on crying and brilliently transilluminant
1. Parotiditis
2. Hemangioma
3. Cystic hygroma
4. Lymph node

Correct answer: 3. Cystic hygroma

Explanation: Ans. is 'c' i.e., Cystic hygroma Cystic hygroma Usually present in neonate or early infancy. Filled with lymph Commonly present in posterior cervical area, axilla, mediastinum, parotid, floor of mouth. Soft & partially compressible Size increase during crying, coughing Brilliently transilluminant Sometimes size increase with age or during infection. Treatment is complete excision.